Treatment for a 16 weeks hydatiform mole is?
1. Hysterectomy
2. Suction evacuation
3. Hysterotomy
4. LSCS

Correct answer: 2. Suction evacuation

Explanation: ANSWER: (B) Suction evacuationREF: Dutta 6th ed p. 198The treatment of choice for H.mole in uncomplicated cases is suction evacuation.